Which of the following is radiopaque
1. polysulphide
2. polyether
3. addition silicone
4. condensation silicone

Correct answer: 1. polysulphide